Vitamin D is maximum in :
1. Milk
2. Fish fat
3. Eggs
4. Cod liver oil

Correct answer: 4. Cod liver oil

Explanation: Ans. is 'd' ie; cod liver oil Dietary sources of vitamin D in decreasing order -Halibut liver oil 5. MilkCod liver oil 6. EggsShark liver oil 7. ButterFish fat